All of the following are genetic motor neuron diseases affecting predominantly lower motor neurons except
1. Spinal muscular atrophy
2. Sandhoff's disease
3. Adult tay sachs disease
4. Adrenoleukodystrophy

Correct answer: 4. Adrenoleukodystrophy

Explanation: Spinal muscular atrophy, Sandhoff's disease, Adult tay sachs disease are genetic motor neuron disease affecting lower motor neurons. Adrenoleukodystrophy is a genetic motor neuron disease affecting upper motor neurons. Ref Harrison 20th edition page 3144 , table 429-3